Root value of median cutaneous nerve of thigh is ?
1. L1,L2,L3
2. L2-L3
3. L3-L4
4. L4-L5

Correct answer: 2. L2-L3

Explanation: Ans. is'b'i.e., L2-L3 Medial femoral cutaneous nerve (medial cutaneous nerve of thigh) is a branch of anterior division of femoral nerve (L1, L2).